Transamination of pyruvate and glutamic acid leads to the formation of
1. Oxaloacetate
2. a-ketoglutarate
3. Aspartate
4. Malate

Correct answer: 2. a-ketoglutarate

Explanation: Transamination of pyruvate and glutamic acid (or glutamate) 1/t formation of alanine and a-keto (oxo) glutarate.